True about MRI are all except
1. Not helpful in a breast implant
2. Not good for calcified lesions
3. No radiation exposure
4. Contraindicated in cardiac pacemaker

Correct answer: 1. Not helpful in a breast implant

Explanation: "MRI should be used (with mammography and ultrasound) to investigate any nodular change near a breast implant to determine whether it is caused by a tumor or by silicon leak"